Hemodialysis is NOT useful in poisoning with
1. Barbiturates
2. Diazepam
3. Salicylate
4. Methanol

Correct answer: 2. Diazepam

Explanation: (B) Diazepam # HAEMODIALYSIS:> It is very useful for removing ethanol, methanol, ethylene glycol, chloral hydrate, lithium, trivalent arsenic, acetaminophen, bromides, phenobarbital, bromides, salicylates, fluoride, sodium chlorate, digitalis, methaqualone, boric acid and thiocyanates.